Dicrotic notch is due to closure of
1. Aortic valve
2. Mitral valve
3. pulmonary
4. Tricuspid valve

Correct answer: 1. Aortic valve

Explanation: Dicrotic notch is due to backflow of blood in the aorta at the beginning of diastole.It marks the end of ventricular systole. Reference:Textbook of medical physiology Geetha,2nd edition,page no:187.